The Russell periodontal index is calculated by:
1. Adding all the tooth scores and dividing by the number of teeth examined
2. Adding all the tooth scores and multiplying by the number of teeth examined
3. Adding all the tooth scores and dividing by 32
4. None of the above methods

Correct answer: 1. Adding all the tooth scores and dividing by the number of teeth examined

Explanation: The Periodontal Index (PI) was developed by Russell A.L. in 1956, over a trial period of ten years.
The Russell's rule states that "When in doubt assign the lesser score.
The Periodontal Index score (PI score) per individual is obtained by adding all of the individual scores and dividing by the number of teeth present or examined. 
PI score per person = Sum of individual scores/Number of teeth present.
Ref: Soben peter, 5th edition 
pg no:326